Left testicular vein drains into which of the following?
1. Left renal vein
2. Inferior vena cava
3. Common iliac vein
4. Internal iliac vein

Correct answer: 1. Left renal vein

Explanation: Left testicular vein drains into left renal vein. Right testicular vein drains into the inferior vena cava at an acute angle just inferior to the level of the renal veins.